Kleptomania is
1. Delusion
2. Obsession
3. Impulse
4. Compulsion

Correct answer: 3. Impulse

Explanation: Kleptomania is irresistible impulse to steal.